Best preventive measure againts tetanus neonatorum-
1. Active immunization of mother
2. Passive immunization of child
3. Active immunization of child
4. Passive immunization of mother

Correct answer: 1. Active immunization of mother

Explanation: Active immunisation with tetanus toxoid to mother will protect both mother and child.2 doses should be given. Reference; Park's Textbook of preventive and social medicine, 24th edition.Pg no. 331